A 5-year old male child has been brought with a complaint that there is only one testis in the scrotum. On examination, it is found that the testis on the opposite side is felt in the inguinal canal. The patient should be advised?
1. Orchiopexy
2. To wait till puberty
3. Orchidectomy
4. Administration of androgens

Correct answer: 1. Orchiopexy

Explanation: Ans. is 'a' i.e., Orchipexy